In Asthma patient positive bronchodilator reversibility test is indicated by
1. Increase in FEV1 > 5% after SABA inhalation
2. Increase in FEV1 > 12% after SABA inhalation
3. Increase in FEV1 > 25% after SABA inhalation
4. Increase in FEV1 > 50% after SABA inhalation

Correct answer: 2. Increase in FEV1 > 12% after SABA inhalation

Explanation: Answer- B. Increase in FEV1 > 12% after SABA inhalation Bronchial reversibility is defined as SABA induced increase in FEVI > 12% and > 0.20 litres (200 ml)